Maximum Flexion in Thoracic Vertebrae occurs at
1. Upper Thoracic
2. Middle Thoracic
3. Lower Thoracic
4. Same at all level

Correct answer: 3. Lower Thoracic

Explanation: Maximum Thoracic flexion occurs in the lower Thoracic spine because the vertebrae start to orient their facets similar to the Lumbar Spine where the most flexion and extension occurs. Also, the Lower thoracic spine is not as cemented in place by the floating ribs